A travelling nerve impulse does not depolarize the area immediately behind it, because
1. It is hyperpolarized
2. It is refractory
3. It is not self propagating
4. The condition is always orthodromic

Correct answer: 2. It is refractory

Explanation: The area immediately behind does not depolarize because it is in a state of relative refractoriness.